Triangular space between clitoris and hymen –
1. Fourchette
2. Fossa navicularis
3. Labia minora
4. Vestibule

Correct answer: 4. Vestibule